Most recent type of denture adhesive is:
1. Salts of Gontrez
2. Natural gums
3. Cellulose based salts
4. Acrylic adhesive

Correct answer: 1. Salts of Gontrez